Most common nerve injured in fracture of medial epicondyle of humerus is:
1. Radial nerve
2. Ulnar nerve
3. Median nerve
4. Musculocutaneous nerve

Correct answer: 2. Ulnar nerve

Explanation: Ans. B: Ulnar Nerve Certain lesions are commonly associated with fractures to specific areas of the humerus. At the upper end, the surgical neck of the humerus and anatomical neck of humerus can both be involved, though fractures of the surgical neck are more common. The axillary nerve can be damaged in fractures of this type. Mid-shaft fractures may damage the radial nerve, which traverses the lateral aspect of the humerus closely associated with the radial groove. The median nerve is vulnerable to damage in the supracondylar area. The ulnar nerve is vulnerable to damage near the medial epicondyle, around which it curves to enter the forearm.